All are risk factors for Ca breast EXCEPT -
1. BRCA 2 gene positive
2. Personal h/o breast Ca
3. Fibroadenosis
4. Multiparity

Correct answer: 4. Multiparity

Explanation: Ans. is 'd' i.e., Multiparity o Has been explained in previous sessions